38 year old male with hypopigmented patches near both ankles. What is not used for treatment?
1. Topical clobetasol
2. Topical tretinoin
3. Topical tacrolimus
4. Topical methoxsalen

Correct answer: 2. Topical tretinoin

Explanation: Treatment of vitiligo: 1.Topical a. Steroids eg: clobetasol b. Calcineurin inhibitors like tacrolimus c. Vit D analogues 2. Systemic a. Steroids b. Azathioprine 3. Phototherapy a. PUVA b. PUVASOL c. Narrow band UVB d. Targeted Phototherapy 4. Surgical treatment. Important point: Topical methoxsalen is Psoralen.